Most radiosensitive tissue of body among the following is –
1. Bone marrow
2. Spleen
3. Kidney
4. Brain

Correct answer: 1. Bone marrow

Explanation: Bone & cartilage are radioresistant.
Ewing's sarcoma, seminoma and GI epithelium are highly radiosensitive.